Endodontic surgical triad does not include:
1. Magnification.
2. Patients compliance.
3. Illumination.
4. Instruments.

Correct answer: 2. Patients compliance.

Explanation: Endodontic surgical triad

Magnification
Illumination.
Instruments.